Monu, a 30 year old male, a chronic alcoholic presents with sudden onset of epigastric pain that radiates to the back. All are seen EXCEPT -
1. Low serum lipase
2. Increased LDH
3. Hypocalcemia
4. Increased serum amylase

Correct answer: 1. Low serum lipase

Explanation: This pt. is suffering from acute pancreatitis. In acute pancreatitis, serum lipase level is elevated. In fact the diagnosis of acute pancreatitis is usually confirmed by an elevated level of serum amylase and/or lipase. Another lab test used to diagnose acute pancreatitis is → serum trypsin level (it has theoretical advantage over amylase and lipase determinations in that the pancreas is the only organ that contains this enzyme). In acute pancreatitis
Serum amylase level is increased many fold
Serum LDH level are elevated and markedly elevated levels suggest a poor prognosis.
Hypocalcemia is seen in about 25% of pts. and is thought to be due to intraperitoneal saponification of calcium by fatty acids in areas of fat necrosis.